Anti IgE monoclonal antibody is -
1. Certolizumab
2. Ofatumumab
3. Omalizumab
4. Canakinumab

Correct answer: 3. Omalizumab

Explanation: Ans. is 'c' i.e., OmalizumabSome Newer Monoclonal Antibodies1) Omalizumab-Anti - IgE antibody used for treatment of asthma2) Belimumab-B-lymphocyte stimulator (BLyS)-specific inhibitor. Used in adult patients with active, autoantibody - positive SLE.3) Canakinumab-Human monoclonal antibody against 1L - 1 Used in children and adults with cryopyrin - associated periodic syndrome (CAPS).4) Certolizumab-PEGylated anti - TNF (tumor necrosis factor) biological therapy Moderate to severe Crohn's disease in adults.5) Efalizumab-Against CD 11 for psoriasis6) Ipilimumab-Human cytotoxic T-lymphocyte antigen 4 (CTLA - 4) - blocking antibody. Treatment of Unresectable or metastatic melanoma.7) Naializumab-T/tof Multiple sclerosis.8) Ofatumumab-CD20 - directed cytolytic monoclonal antibody T/t of CLL9) Palivizumab-Used for RSV infections.